A new born child has not passed meconium for 48 hrs. What is the diagnostic procedure of choice ?
1. USG
2. Contrast enema
3. CT
4. MRI

Correct answer: 2. Contrast enema

Explanation: A plain radiograph commonly shows signs of small bowel obstruction and a soft-tissue opacity. Diagnosis can be confirmed by an abdominal ultrasound scan or contrast enema. Ref: Bailey & Love's Short Practice of Surgery,E25,Page-80